Chromosomes involved in adult polycystic kidney disease (APKD) -
1. 6&11
2. 4 & 16
3. 4 & 12
4. 4 & 17

Correct answer: 2. 4 & 16